Type two schizophrenia is characterised by all except ?
1. Negative symptoms
2. Poor response to TT
3. Disorganised behaviour
4. CT scan abnormal

Correct answer: 3. Disorganised behaviour

Explanation: Disorganized behaviour In 1980 T.J. crow proposed a classification of schizophrenia patients into type I and type II on the basis of presence and absence of positive symptoms. Although the system was not accepted as part of the DSMIV classification, the clinical distinction of two types has significantly influenced psychiatric research.